Each of the following drug regimens is likely to influence periodontal treatment planning EXCEPT
1. Dexamethasone
2. Dicoumarol
3. Diphenhydramine
4. Nitroglycerine

Correct answer: 3. Diphenhydramine